Most important muscle which opens mouth is -
1. Lateral pterygoid
2. Medical pterygoid
3. Masseter
4. Temporalis

Correct answer: 1. Lateral pterygoid

Explanation: Lateral pterygoid depresses the mandible to open the mouth, with suprahyoid muscles.